Which of the following muscle forms the lateral boundary of cubital fossa?
1. Brachioradialis
2. Pronator teres
3. Brachialis
4. Biceps

Correct answer: 1. Brachioradialis

Explanation: Boundaries of cubital fossa:Superior boundary: An imaginary line connecting the medial and lateral epicondyles of the humerusLateral boundary: Medial border of the brachioradialisMedial boundary: Lateral margin of the pronator teresApex: Lies inferiorly and formed by crossing of the brachioradialis across the front of the pronator seriesFloor: Lower end of the brachialis, above, and by the supinator muscle, below.Roof: Overlying fascia. The cephalic vein, the basilic vein, and the median cubital vein lie in this fascia. The medial and lateral cutaneous nerves of the forearm also lie in the roof.Also know: Contents of the fossa:The tendon of the biceps brachii (along with the bicipital aponeurosis)The lower end of the brachial artery (medial to the tendon), dividing into radial and ulnar arteriesThe median nerve (medial to the artery)The radial nerve (in lateral part of fossa)